Antibiotic of choice in cirrhotic patient to prevent encephalopathy:
1. Neomycin
2. Ampicillin
3. Metronidazole
4. Rifaximin

Correct answer: 4. Rifaximin

Explanation: Treatment of hepatic encephalopathy 1. Correct precipitating factors 2. Use lactulose- results in colonic acidification. 2. Poorly absorbed antibiotics- neomycin and metronidazole. More recently, rifaximin at 550 mg twice daily has been very effective in treating encephalopathy without the known side effects of neomycin or metronidazole.